"Codfish" vertebra is not seen commonly in which of the following
1. Osteoporosis
2. Gaucher's disease
3. Osteogenesis Imperfecta
4. Renal Osteodystrophy

Correct answer: 2. Gaucher's disease

Explanation: Fish vertebra, also known as codfish vertebra, describes the biconcave appearance of vertebrae (especially lumbar vertebrae).Seen in: OsteoporosisSickle cell disease Hereditary SpherocytosisHomocystinuriaRenal Osteodystrophy Osteogenesis ImperfectaThalassemia Major (rarely)Gaucher's disease shows H shaped vertebrae.